Exposure to sunlight can precipitate – a) Chloasmab) Discoid lupus erytyhematosusc) Dermatitis herpatiformisd) Lupus vulgaris
1. ac
2. ab
3. ad
4. bc

Correct answer: 2. ab